All of the following statements about Insulinoma are true Except:
1. Most commonly found in 'Pancreas'
2. Usually Benign
3. Usually multiple
4. Derived from Beta cells

Correct answer: 3. Usually multiple

Explanation: Answer is C (Usually multiple) Insulinomas are usually single and not multiple (>90%) - Harrison's Insulinomas are endocrine tumors of pancreas derived from Beta cells. They are generally small (>90% < 2 cm), usually not multiple (90%) and only 5-15% are malignant (usually benign). Symptoms due to Hypoglycemia Most common symptoms are due to the effect of hypoglycemia on the central nervous system (Neuroglycemic Symptoms) Confusion Headache Disorientation Visual difficulties Irrational behavior (even coma) Symptoms due to Excessive Catecholamine Release secondary to Hypoglycemia Tremor Palpitation